WHO formation day is –
1. 5th may
2. 7th April
3. 10th june
4. 10th july

Correct answer: 2. 7th April

Explanation: The constitution came into force on 7th April 1948, which is celebrated every year as world health day.